Therapeutic uses of prostaglandin E1  include all of the following; except
1. Medical termination of pregnancy
2. Impotence
3. Primary pulmonary hypertension
4. Maintenance of patent ductus arteriosus

Correct answer: 3. Primary pulmonary hypertension

Explanation: PGI2 analogs (like epoprostenol and treprostinil) are used for treatment of pulmonary hypertension.
PGE1 analogs are used for first trimester abortion (misoprostol), impotence (alprostadil) and maintenance of the patency of ductus arteriosus (alprostadil).